In case of Ptosis which cranial nerve will be completely paralyzed
1. 3rd CN palsy
2. 4th CN palsy
3. 5th CN palsy
4. 6th CN palsy

Correct answer: 1. 3rd CN palsy

Explanation: Ans. (a) 3rd CN palsyRef: A.K. Khurana 6th ed. /379* Ptosis is drooping of eyelid.* Eyelid is comprised of 4 muscles:Muscles, their innervation and functionMuscleCN innervationFunctionLPSIIIOpens the eyelidMuller's muscleIIIOpens eyelid when LPS tiredFrontalisVIICloses the eyelidOrbicularis oculiVIICloses the eyelid* CN III palsy leads to drooping of eyelid (Ptosis).* CN VII palsy may also cause ptosis.Also Know* All the extraocular muscles are supplied by CN III except lateral rectus and superior oblique.* Lateral rectus supplied by- CN VI* Superior oblique supplied by- CN IVRemember- LR6, S04; all other by CN III